Which of the following does not represent a significant anaesthetic problem in the morbidly obese patient?
1. Difficulties in endotracheal intubation
2. Suboptimal arterial oxygen tension
3. Increased metabolism of volatile agents
4. Decreased cardiac output relative to total body mass

Correct answer: 4. Decreased cardiac output relative to total body mass

Explanation: D i.e. Decreased cardiac out put relative to total body mass Obesity related changes Cardiovascular Respiratory Gastrointestinal Problems during anesthesia - T Blood volume - ,I. Compliance - Hiatus hernia - Difficult intubation Q - I Cardiac outputc2 - i Respiratory drive - Gastroesophageal - Increased risk of aspiration - I B.P. - 1 Vital capacity & FRC reflux poor gastric pneumonia - I Stroke volume - 1, Blood 02 (Hypoxemia) Q emptying Hyper - Volatile agents are metabolized - I Cardiac workload - These patients require high acidic gastric rapidly while the action of - I Cardiomegaly Fi02 to achieve adequate oxygenation, the ratio of fluid. nonvolatile agents are prolonged. Q - Difficulties in regional anesthesia N2O/O2 is kept 2/3 - Respiratory failure is the major post operative problemQ